Shape and size of the teeth are determined by which stage:
1. Initiation.
2. Apposition.
3. Morphodifferentiation.
4. Histodifferentiation.

Correct answer: 3. Morphodifferentiation.

Explanation: Morphodifferentiation
The morphologic pattern, or basic form and relative size of the future tooth, is established by morphodifferentiation, that is, by differential growth. Morphodifferentiation therefore is impossible without proliferation.